The normal calorie requirement for a 5-year-old child is –
1. 800 calories
2. 1000 calories.
3. 1500 calories
4. 2000 calories

Correct answer: 3. 1500 calories

Explanation: It is 1690 KCal.